The "Great Hilar Dance" sign of flouroscopy is seen in
1. ASD
2. VSD
3. TGA
4. TAPVC

Correct answer: 1. ASD

Explanation: Vigorous arterial pulsations due to increased blood flow, seen flouroscopically in patients with ASD.